HER-2/neu gene causes breast carcinoma due to
1. Overexpression
2. Suppression
3. Mutation
4. Translocation

Correct answer: 1. Overexpression

Explanation: Answer- A. OverexpressionHER2/neu or ERBB2 gene which encodes for Receptor tyrosine-protein kinase erbB-2, also known as CD340.Amplification or over-expression of this oncogene has been shown to play an important role in the development and progression of certain aggressive types of breast cancer.